Examining the patient without consent amounts to:
1. Assault
2. Unethical act
3. Indecent act
4. Negligence

Correct answer: 1. Assault

Explanation: Ans. Assault